10 month old child can not do –a) Change cube from one hand to anotherb) Can build a cube of sixc) Can pull and standd) Can talk a sentence of 4 to 5 wordse) Pincer grasp
1. c
2. d
3. bd
4. ac

Correct answer: 3. bd

Explanation: A child can transfer the objects from one hand to another by 5-7 months.
A child can build a tower of 6 cubes by 21 months (see above question).
A child can pull himself up by the age of 10 months.
A child makes a simple sentence first time by the age of 2 years.
Pincer grasp develops by 9 months.